Recommended intervals for bitewing examination in high risk children is:
1. 6-12 months
2. 6-18 months
3. 12-18 months
4. 3-6 months

Correct answer: 1. 6-12 months

Explanation: Children and adolescents with high risk factors for caries, must be examined with bitewing radiography atleast once in 6-12 months, whereas for adults it is 6-18 months.